Secondary attack rate reflects ------ of a disease:-
1. Severity
2. Communicability
3. Fatality
4. Virulence

Correct answer: 2. Communicability

Explanation: Secondary attack rate = Primary case is excluded from both the numerator and denominator. It determines the communicability of the disease.